Organism with sterols in their cell wall is:
1. Mycoplasma
2. Bacillus
3. Streptococcus
4. Spirillum

Correct answer: 1. Mycoplasma

Explanation: Ans: a (Mycoplasma) Ref: Ananthanaryan, ed, p. 395"Mycoplasma lack a rigid cell wall and they are bounded by a triple layered unit membrane that contains sterols."Mycoplasma PPLO - by Nocard & Roux* Smallest free living organism* Gram negative.highly pleomomorphic organism, stained by Giemsa* Found in the form of elementary bodies & filaments of various size* Facultative anaerobe, require a source of cholesterol for growth* Media = hayflick media, eatons media* Colonies = biphasic with a fried egg appearance* C/F: Primary atypical pneumonia. Bullous myringitis. Otitis* Lab diagnosis:1. Isolation of organism - from throat swab, respiratory secretion2. serological diagnosis -1. Specific - HI, IF. metabolic inhibition2. Nonspecific- streptococcus MG3. Cold agglutinationTreatment: DOC- Erythromycin (Presence of 70 S ribosome makes it susceptible to antibiotics that inhibit protein synthesis; but due to the lack of cell wall they are resistant to penicillin)Remember* Ureoplasma ureolyticum belongs to the family mycoplasmatacea; which can hydrolyse urea & is a cause for nongonococcal urethritis* L forms of bacteria - are due to the loss of bacteria but they retain the biochemical & antigenic properties of present bacteria.